Moon's molars seen with ?
1. Syphilis
2. Leprosy
3. Amyl oidosi s
4. Actinomycosis

Correct answer: 1. Syphilis

Explanation: Ans. is 'a' i.e., Syphilis Moon's- or Mulberry Molar is a condition where the first lower molar tooth has become dome-shaped due to malformation by congenital syphilis.